Clinical features of Conus Medullaris syndrome include all of the following Except:
1. Plantar Extensor
2. Absent knee & ankle jerks
3. Sacral anesthesia
4. Lower sacral & coccygeal involvement

Correct answer: 2. Absent knee & ankle jerks

Explanation: The root value of Conus medullaris is S1-S5. Hence in conus medullaris syndrome, knee-jerk is preserved but ankle jerk is lost. Due to the involvement of corticospinal pathway, extensor plantars will be seen.